Tegmen separates middle ear from the middle cranial fossa containing temporal lobe of brain by
1. Medical wall of middle ear
2. Lateral wall of middle ear
3. Roof of middle ear
4. Anterior wall of middle ear

Correct answer: 3. Roof of middle ear

Explanation: The roof of the middle ear is formed by tegmen tympani and it extends posteriorly to form a roof of aditus and antrum. Ref: Dhingra 6th edition